Treatment of choice for hairy cell leukaemia is
1. Steroids
2. Cladribine
3. Splenectomy
4. Pentostatin

Correct answer: 2. Cladribine

Explanation: The first-line therapy for hairy cell leukemia is cladribine, 0.1 mg/kg/d by continuous intravenous infusion for 7 days. The drug can be administered on an outpatient basis with a pump, after placement of a percutaneous intravenous central catheter (PICC). Ref Harrison 20th edition pg 544